Torsion testis diagnosed is confirmed by?
1. B mode USG
2. Color doppler
3. CT scan
4. MRI

Correct answer: 2. Color doppler

Explanation: Diagnosis of torsion testis is confirmed by Doppler ultrasound scan(colour doppler). By this, the absence of blood supply (testicular artery ) to the affected testis is confirmed. But performing this test may squander vital minutes. If there is any doubt about the diagnosis, scrotum should be explored without any delay Reference : page 1380 Bailey and Love's short practice of surgery 25th edition